Under the ESI act, sickness benefit is given to a person for a maximum period of how many days out of 365 days:
1. 31 days
2. 61 days
3. 91 days
4. 121 days

Correct answer: 3. 91 days

Explanation: Sickness benefit under the ESI act consists of periodical cash payment to an insured person in case of sickness. The benefit is payable for a maximum period of 91 days in any continuous period of 365 days, the daily rate being about 505 of daily wages. Ref: Park 21st edition, page 757. Chapter: Occupational health.